Lucio reaction is seen in-
1. TB
2. Leprosy
3. Syphillis
4. LGV

Correct answer: 2. Leprosy

Explanation: Lucio's phenomenon is an unusual reaction seen in lepromatous leprosy, especially in untreated cases. It is characterised by shiny,thickened skin with loss of body hair, including eyebrows and eyelashes, along with widespread sensory loss due to dermal nerve involvement. Nodules plaques or papules are absent and motor palsies are uncommon. There may be chronic edema with ulcerative lesions, affecting mainly the lower extremities and nasal mucosa with epistaxis . Lucio's phenomenon was first described by Rafael Lucio Najera and Alvarado as a necrotizing skin reaction associated with non-nodular diffuse leprosy in 1852. iadvl textbook of dermatology page 2053